Which one of the following is aspirin ?
1. Methyl salicylate
2. Para–aminobenzoic acid
3. Para–aminosalicylic acid
4. Acetyl salicylic acid

Correct answer: 4. Acetyl salicylic acid